In MDPI, poor is interpreted when deprivation in indicators is more than
1. 20%
2. 33%
3. 50%
4. 70%

Correct answer: 2. 33%

Explanation: If deprivation in indicators is >33% or >1/3rd of indicators then interpretated as POVERTY



Deprivation in Indication in MDPI
Intecpretation                            


20% - 33.3%
Vulnerable to poverty


> 33%
Poverty


> 50%
Severe poverty